Diagonal conjugate is defined as the distance between
1. Upper border of symphysis pubis and the sacral promontory
2. Lower border of symphysis pubis and the sacral promontory
3. Lower border of symphysis pubis and the third piece of sacrum
4. Lower border of symphysis pubis and tip of sacrum

Correct answer: 2. Lower border of symphysis pubis and the sacral promontory

Explanation: The diagonal conjugate is clinically estimated by measuring the distance from the sacral promontory to the lower margin of the symphysis pubis.